Long-term potentiation (LTP) at glutaminergic synapses is feature typically seen in:
1. CA1 region of hippocampus
2. Climbing fiber action on Purkinje cell in cerebellum
3. Granule cell action on Purkinje cell of cerebellum
4. Prefrontal cortex projections from limbic system

Correct answer: 1. CA1 region of hippocampus

Explanation: Long term potentiation (LTP) involves protein synthesis and growth of the presynaptic neurons, postsynaptic neurons & their connections. It is a rapidly developing persistent enhancement of the post synaptic potential response to presynaptic after a brief period of rapidly repeated stimulation of the presynaptic neuron. LTP occurs in many parts of the nervous system but has been studied in greatest detail in hippocampal synapses specifically in CA1 region. LTP also identified in the mossy fibers of the hippocampus (connecting Granule cell in the dentate cortex).